About Langerhans cell histiocytosis, true are all EXCEPT
1. Peak incidence less than 3 years of age
2. Radiosensitive
3. Diffuse form is known as Letterer -siwe-disease
4. Gonadal involvement occurs

Correct answer: 4. Gonadal involvement occurs

Explanation: DISCUSSING THE OPTIONS ONE BY ONE: a. Peak incidence less than 3 years of age - True; More common and more severe in younger children b. Radiosensitive -True - as Bone lesions & Pituitary lesions causing DI, respond well to radiotherapy c. Diffuse form is known as Letterer-siwe disease -True d. Gonadal involvement occurs - False; Gonadal involvement is usually not seen in LCH. - Involvement of bones, scalp, pituitary, lungs, hematopoiesis is seen